True about function of brain are all except:
1. Sensitive to hypoxia
2. Dependent on glucose
3. Uses fatty acids in starvation
4. Does not store energy

Correct answer: 3. Uses fatty acids in starvation

Explanation: C i.e. Use fatty acid in starvationBrain FuelBrain tissue normally uses glucoseQ as an exclusive fuel, except during starvationDuring starvation brain can adapt to use ketone bodiesQ as an energy source.The brain contains essentially no fuel reservesQ and must be continuously supplied with fuel from the blood.